Nerve supply to the perineum is
1. Pudendal nerve
2. Inferior rectal nerve
3. Pelvic splanchnic nerves
4. Hypogastric plexus

Correct answer: 1. Pudendal nerve

Explanation: Pudendal nerve, its course through the lesser sciatic foramen, and branches, including inferior anal at bottom right. The superficial branches of the internal pudendal artery. The perineal nerve is a nerve arising from the pudendal nerve that supplies the perineum. Ref - BDC 6e vol2 pg363